Ovulation corresponds with:
1. FSH surge
2. LH surge
3. Progesterone surge
4. Estradiol surge

Correct answer: 2. LH surge

Explanation: B i.e. LH surgeA surge in LH secretion triggers ovulationQ, and ovulation normally occurs about 9 hours after the peak of LH surge at midcycle.